Hypo-osmotic dehydration is seen in
1. Adrenocortical insufficiency
2. Decreased water intake
3. Chronic renal failure
4. SIADH

Correct answer: 1. Adrenocortical insufficiency

Explanation: Answer- A. Adrenocortical insufficiencyLoss of salt in excess of water causes hypo-osmotic volume contraction.This usually results from adrenocortical insufficiency associated with renal loss of NaCl.Aspiration ofgastric secretions can cause hypertonic fluid loss from body.